All of the following support uterus except
1. Cardinal ligament
2. Round ligament
3. Pubocervical ligament
4. Mackenrodt's ligament

Correct answer: 2. Round ligament

Explanation: Ans. is b, i.e. Round ligamentRemember* Most important support of uterus is levator ani muscle* Most important ligament supporting the uterus--Cardinal ligament/Mackenrodt's ligament* Round ligament is a secondary support of the uterus as it does not support it directly but helps to keep it in anteverted position* Broad ligament is a fold of peritoneum and does not support the uterus at all.Note: Hence answer to question no. N2 is 'Broad Ligament' and question no. N3 where all other supports are primary supports, the answer is 'round ligament' which is only a secondary support.